Maximal deaths in MI occurs within
1. 0-24 hrs
2. 24-48 hrs
3. 48-72 hrs
4. > 72 hrs

Correct answer: 1. 0-24 hrs

Explanation: (A) 0-24 hrs > The vast majority of deaths due to ventricular fibrillation occur within the first 24 h of the onset of symptoms, and of these, over half occur in the first hour.> Therefore, the major elements of prehospital care of patients with suspected STEM I include Recognition of symptoms by the patient and prompt seeking of medical attention Rapid deployment of an emergency medical team capable of performing resuscitative maneuvers, including defibrillation Expeditious transportation of the patient to a hospital facility that is continuously staffed by physicians and nurses skilled in managing arrhythmias and providing advanced cardiac life support Expeditious implementation of reperfusion therapy